Paneth cells secrete which of the following ?
1. Antibacterial substance
2. Lipase
3. Maltase
4. Secretin

Correct answer: 1. Antibacterial substance